Which of the following malignancy is associated with underlying progression and spreads characteristically in a stepwise fashion and hence staging the disease is an important prognostic factor? -
1. Hodgkin's lymphoma
2. Multiple myeloma
3. Mature T cell NHL
4. Mature B cell NHL

Correct answer: 1. Hodgkin's lymphoma

Explanation: Hodgkin's disease primary arises within the lymph nodes and involves the extranodal sites secondarily Based on the extent of involvement of the disease ,Staging is studied in order to select proper treatment and assess the prognosis. Reference textbook of Pathology 6th edition author: Harsha Mohan page number 369-373